A woman who has developed chickenpox 2 days ago is admitted in labor.What is the best method to prevent infection in the neonate?
1. Administer varicella zoster immunoglobulin (VZIG) to the neonate soon after birth
2. Administer varicella zoster vaccine to the neonate
3. Perform a cesarean section immediately
4. Prevent breastfeeding

Correct answer: 1. Administer varicella zoster immunoglobulin (VZIG) to the neonate soon after birth

Explanation: Ans. is a, i.e. Administer varicella zoster immunoglobulin (VZIG) to the neonate soon after birthSince the mother developed the infection two days before the delivery, there is no time for the mother to develop antibodies. Therefore, the neonate will be non-immune and is at risk of developing chickenpox. Neonatal infection is prevented by giving VZIG to the neonate soon after birth.